Burkitt's lymphoma is -
1. B cell lymphoma
2. 6,14 translocation
3. PAS positive in cytochemistry
4. Radiotherapy is used in treatment

Correct answer: 1. B cell lymphoma

Explanation: Burkitt's lymphoma is a B cell lymphoma and corresponds to L3 ALL of FAB classification characterised by large homogenous lymphoblasts , round nuclei, prominent nucleoli,cytoplasmic vacuolation.

Typical cytogenetic abnormality in the tumour cells are t(8;14) & t(8;22).It is PAS negative in cytochemistry .Treatment is intensive chemotherapy with high doses of cyclophosphamide.

Reference : Harsh Mohan textbook of pathology 6th edition pg no377